Sickle cell anemia is usually associated with all, except:
1. Shortened RBC life span
2. Normal reticulocyte count
3. Abnormality in Hemoglobin
4. Polymer formation is reversible

Correct answer: 2. Normal reticulocyte count

Explanation: Reticulocytes are young red blood cells that contain cytoplasmic RNA. A reticulocyte count measures how rapidly reticulocytes are produced by the bone marrow and then released into the bloodstream. Reticulocyte count reflects the erythropoietic activity of the bone marrow and is thus useful in both the diagnosis of anemias and in monitoring bone marrow response to therapy. Increased in:Hemolytic anemia, blood loss (before development of iron deficiency), recovery from iron, B12or folate deficiency, or from drug-induced hemolytic anemia. Decreased in:Iron deficiency anemia, aplastic anemia, anemia of chronic disease, megaloblastic anemia, sideroblastic anemia, pure red cell aplasia, renal disease, bone marrow suppression or infiltration (tumor, infection, etc), myelodysplastic syndrome. Reticulocytosis is a feature of all hemolytic anemia. Reticulocyte count-This test is indicated for the evaluation of anemia to distinguish hypoproliferative from hemolytic anemia or blood loss. Sickle cell anemia- AR, abnormal hemoglobin leads to chronic hemolytic anemia with numerous clinical consequences. When in the deoxy-form, hemoglobin S forms polymer that damage the red blood cell membrane. Both polymer formation & early membrane damage are reversible. However, red blood cells that have undergone repeated sickling are damaged beyond repair & become irreversibly sickled. This shortens RBC's life span